The predominant immunoglobulin in saliva is
1. IgA
2. IgD
3. IgE
4. IgG

Correct answer: 1. IgA